Electric altemans is seen in:
1. Cardiac tamponade
2. Restrictive cardiomyopathy
3. Constructive pericarditis
4. Right Ventricular MI (RVMI)

Correct answer: 1. Cardiac tamponade

Explanation: Answer is A (Cardiac tamponade) Electrical alternans refers to a beat-to-beat alteration in one or more components of the ECG signal. Total electrical alternans (P-QRS-T) with sinus tachycardia is a relatively specific sign for pericardial effusion, often with cardiac tamponade. Feature Cardiac Tamponade Constrictive Pericarditis Restrictive Cardiomyopathy RVMI Electrical Alternans May be present Absent Absent Absent